Fluid of choice in shock is?
1. Albumin
2. Ringer lactate
3. Hydroxyethyl starch
4. Dextran

Correct answer: 2. Ringer lactate

Explanation: Ans is 'b' i.e. Ringer lactate * Crystalloid solutions are first choice to resuscitate any type of shock patients.Fluid management in shockA) Hemorrhagic shock# Crystalloid solutions for intravascular volume replenishment are typically isotonic (eg, 0.9% saline or Ringer s lactate ). H2O freely travels outside the vasculature, so as little as 10% of isotonic fluid remains in the intravascular space. Both 0.9% saline and RL are equally effective;# Colloid solutions (eg, hydroxyethyl starch, albumin, dextrans) are also effective for volume replacement during major hemorrhage. Colloid solutions offer no major advantage over crystalloid solutions, and albumin has been associated with poorer outcomes in patients with traumatic brain injury.B) Nonhemorrhagic hypovolemia# Isotonic crystalloid solutions are typically given for intravascular repletion during shock and hypovolemia. Colloid solutions are generally not used.